Malignant glaucoma is seen in –a) Anterior chamber normalb) Misdirected aqueous flowc) Pilocarpine is the drug of choiced) Management is medical onlye) Atropine is also given
1. ab
2. be
3. bc
4. ce

Correct answer: 2. be

Explanation: In malignant glaucoma there is misdirection of aqueous posteriorly into the vitreous. It is characterized by markedly raised IOP and shallow or absent anterior chamber.
Treatment includes :- i) Medical :- Atropine (DOC), phenylephrine, osmotic agents, (β-blockers, α-agonists, carbonic anhydrase inhibitors; ii) YAG laser hyaloidotomy; iii) Surgery :- pars plana vitrectomy.